All of the following are seen in MEN II B, Except:
1. Hyperparathyroidism
2. Neuromas
3. Pheochromocytoma
4. Medullary Carcinoma Thyroid

Correct answer: 1. Hyperparathyroidism

Explanation: Answer is A (Hyperpahyroidism): Hyperparathyroidism is not seen in MEN II B syndromes. Hyperparathyroidism (Parathyroid Hyperplasia or adenoma) is seen in MEN I and MEN II A.